Least mineralocorticoid activity is seen with which steroid ?
1. Aldosterone
2. DOCA
3. Methylprednisolone
4. Hydrocortisone

Correct answer: 3. Methylprednisolone

Explanation: Ans. is 'c' i.e., Methylprednisolone